Earliest indication of sexual maturation in females:
1. Menarche
2. Thelarche
3. Pubarche
4. Genital maturation

Correct answer: 2. Thelarche

Explanation: b. Thelarche(Ref: Nelson's 20/e p 926-929)Earliest indication of sexual maturation in females is thelarche, while in males, it is testicular enlargement.